Pansystolic murmur at apex with soft first heart sound is the key sign of which one of the following ?
1. Aortic regurgitation
2. Mitral regurgitation
3. Ventricular septal defect
4. Atrial septal defect

Correct answer: 2. Mitral regurgitation